The primary difference between MTA and Portland cement is that, MTA
1. Lacks potassium
2. lacks Al
3. lacks Mg
4. lacks Fe

Correct answer: 1. Lacks potassium

Explanation: The primary difference between both types of MTA and Portland cement are a lack of potassium and presence of bismuth oxide. White MTA contains lower amounts of Fe, Al and Mg than grey MTA.
ref. MTA review, JOE 2010, pg 17